Anopheles species spreading malaria in urban area-
1. Anopheles stephensi
2. Anopheles subpictus
3. Anopheles fluviatilis
4. Anopheles dims

Correct answer: 1. Anopheles stephensi

Explanation: Ans. is 'a' i.e., Anopheles stephensi * Vector for malaria is female anapheline mosquito. There are more than 55 species in India. Six primary vectors are:-1) An. culifacies :- Main vector of rural malaria.2) An. stephensi:- Main vector of urban malaria. It is the most important vector in India.3) An fluvitalis Main vector in hilly areas, forests and forests fringes, especially in the east.4) An. minimum Vector in the the foot hills of North-Eastern states.5) An. dirus Vector in the forest of North-East.6) An. epiroticus Restricted to Andaman and Nicobar Islands.